In considering the serological test for detection of HIV infection an early positive ELISA is due to:
1. P24 antibody
2. Gp 120 antibody
3. Gp 120 antigen
4. P24 antigen

Correct answer: 4. P24 antigen